A 36-year-old woman with pneumococcal pneumonia develops a right pleural effusion. The pleural fluid displays a high specific gravity and contains large numbers of polymorphonuclear (PMN) leukocytes. Which of the following best characterizes this pleural effusion?
1. Fibrinous exudate
2. Lymphedema
3. Purulent exudate
4. Serosanguineous exudate

Correct answer: 3. Purulent exudate

Explanation: -The pleural effusion encountered in this patient represents excess fluid in a body cavity. Transudate-Edema fluid with low protein content Exudate-Edema fluid with high protein content. Purulent exudate or effusion contains a prominent cellular component (PMNs). Serous exudate or effusion is characterized by the absence of a prominent cellular response and has a yellow, straw like color. Fibrinous exudate (choice A) does not contain leukocytes. Serosanguineous exudate (choice D) contains RBCs and has a red tinge. Diagnosis: Bacterial pneumonia, pleural effusion